Which of the following statements is false about Brucella?
1. It causes undulant /Malta / Mediterranean fever
2. Is is gram negative coccobacilli
3. It can be killed by pasteurisation
4. It is a strict anaerobe

Correct answer: 4. It is a strict anaerobe

Explanation: Brucellae are strict aerobes and do not grow anaerobically. Brucellae consists of very small, non-motile, aerobic, Gram-negative coccobacillus that grows poorly on ordinary media and has little fermentative powers. Ref: Textbook of microbiology; Ananthanarayana and paniker's; 10th edition; Pg:345